Trendelenberg's gait is due to the weakness of -
1. Quadriceps
2. Iliopsoas
3. Sartorius
4. Gluteus medius

Correct answer: 4. Gluteus medius

Explanation: *Trendelenberg's gait is due to weakness of abductors mainly gluteus medius REF: Maheshwari 6th/e p.351